which of the following is/are non self cleansable fissure:
1. I
2. K
3. Inverted Y
4. All of the above

Correct answer: 4. All of the above